An 5 year old male patient complains of multiple decayed teeth and has a history of frequent snacking and consumption of sugar containing beverages. Intraoral examination shows multiple interproximal carious lesions. Which of the following caries management protocol is not suitable for this child?
1. Recall after 3 months
2. Professional topical fluoride treatment every 3 months
3. Professional topical fluoride treatment every 6 months
4. Radiographs every 6 months

Correct answer: 3. Professional topical fluoride treatment every 6 months

Explanation: Caries-Risk Assessment Form for Children 6 Years Old or Younger